Following is indication for colposcopy :
1. Suspicious pap smear
2. Obvious mass seen
3. Suspected invasive carcinoma
4. Patient who refuse biopsy

Correct answer: 1. Suspicious pap smear

Explanation: Colposcopy is a method of visualization of cervix under magnification While Pap smear detects abnormal cells, Colposcopy locates the abnormal lesion The aims of colposcopy are: To study the cervix when Pap smear detects abnormal cells To locate abnormal areas and take a biopsy To study the extent of abnormal lesion Conservative surgery under colposcopic guidance Follow-up of conservative therapy cases. Reference : Textbook of Gynaecology; Sheila balakrishnan; 2nd edition; Pg no:299,302